Which of the following is TRUE during far accommodation of the eyes?
1. The ciliary muscles are relaxed
2. The zonula fibers are relaxed
3. The lens is rounded
4. The focal length of the lens is short

Correct answer: 1. The ciliary muscles are relaxed

Explanation: In order to focus a distant object onto the retina (far accommodation) the lens has to decrease its refractive power, i.e., increase its focal length. This is accomplished through relaxation of the ciliary muscles that oppose the pull of the sclera. This results in a tightening of the zonula fibers and a flattening of the lens. The pupils constrict during near accommodation, perhaps to increase depth of field. Ref: Barrett K.E., Barman S.M., Boitano S., Brooks H.L. (2012). Chapter 9. Vision. In K.E. Barrett, S.M. Barman, S. Boitano, H.L. Brooks (Eds), Ganong's Review of Medical Physiology, 24e.